A 2 weeks baby with central cyanosis has grade II systolic murmur, normal S1, single S2, plethoric lung. What is the diagnosis?
1. TGA
2. TAPVC
3. TOF
4. Pulmonary atresia

Correct answer: 1. TGA

Explanation: a. TGA(Ref: Nelson's 20/e p 2211-2217, Ghai 8/e p 420-423)The given clinical picture suggests a diagnosis of TGA (Transposition of great arteries)In TOF and Pulmonary atresia, pulmonary vascularity is decreasedIn TAPVC, S2 is not single, rather there is a wide fixed split of the 2nd heart sound.